Drug causing exanthema ?
1. Atropine
2. Phenytoin
3. Sulfonamide
4. All of the above

Correct answer: 4. All of the above

Explanation: Ans. is 'd' i.e., All of the above